A 28 year old patient complains of amenorrhea after having dilatation & curettage.The most likely diagnosis is:
1. Kallman's Syndrome
2. Turner's Syndrome
3. Asherman's Syndrome
4. Pelvic inflammatory disease

Correct answer: 3. Asherman's Syndrome

Explanation: C;Asherman's Syndrome